Which of the following is a least enzyme inhibiting protease inhibitor?
1. Ritonavir
2. Saquinavir
3. Lopinavir
4. Indinavir

Correct answer: 2. Saquinavir

Explanation: Protease inhibitor with maximum enzyme inhibiting property :Ritonavir
Protease inhibitor with least enzyme inhibiting property : Saquinavir